HBV Replication is indicated by all of the following, Except:
1. HBV DNA
2. DNA polymerase
3. HBe Ag
4. HBs Ag

Correct answer: 4. HBs Ag

Explanation: Answer is D (HBs Ag) HBsAg is not a marker for active HBV Replication. Serological markers for active viral replication include HBe Ag, presence of DNA polymerase and circulating HBV DNA.